Which of the following is not a cardioselective beta blocker
1. Nebivolol
2. Atenolol
3. Betaxolol
4. Oxprenolol

Correct answer: 4. Oxprenolol

Explanation: Ans. is 'd' i.e., Oxprenolol Selective 131 blockers are (cardioselective) : Atenolol 3. Bisoprolol 5. Celiprolol 7. Metoprolol Acebutalol 4. Betoxolol 6. Esmolol 8. Nebivolol o These agents are preferred in DM, hyperlipidemia, PVD, asthma.